Metabolic changes in burns include all except
1. Metabolic acidosis
2. Positive nitrogen balance
3. Hypermetabolic rate
4. Electrolyte imbalance

Correct answer: 2. Positive nitrogen balance

Explanation: Burns is characterized by negative nitrogen balance.